Verocay bodies are seen in -
1. Meningioma
2. Glioma
3. Medulloblastoma
4. Schwannoma

Correct answer: 4. Schwannoma

Explanation: . Schwannoma